FALSE statement about Ulcerative colitis is
1. Smoking may prevent the disease
2. 58% concordance with monozygotic twins
3. 0% concordance with dizygotic twins
4. Appendectomy is protective for the disease

Correct answer: 2. 58% concordance with monozygotic twins

Explanation: Patients with quiescent UC and CD have normal fertility rates. The fallopian tubes can be scarred by the inflammatory process of CD, especially on the right side Ulcerative colitis Crohn's disease Male / female ratio 1:1 1.1 - 8.1 Smoking May prevent disease May cause disease Oral contraceptives No increased risk Odds ratio 1.4 Appendectomy Protective Not protective Monozygotic twins 6% concordance 58% concordance Dizygotic twins 0% concordance 4% concordance